Increasing severity of intellectual disability of male members over generations is a result of-
1. Mitochondrial DNA mutation
2. Frameshift mutation
3. Y linked disorder
4. Trinucleotide repeat mutation

Correct answer: 4. Trinucleotide repeat mutation

Explanation: Trinucleotide repeat disorders (also known as trinucleotide repeat expansion disorders, triplet repeat expansion disorders or codon reiteration disorders) are a set of genetic disorders caused by trinucleotide repeat expansion, a kind of mutation where trinucleotide repeats in certain genes exceed the normal, stable threshold, which differs per gene. The mutation is a subset of unstable microsatellite repeats that occur throughout all genomic sequences. If the repeat is present in a healthy gene, a dynamic mutation may increase the repeat count and result in a defective gene.